A shift to the right in the biological activity dose- response curve for a hormone with no accompanying change in the maximal response indicates:
1. Decreased responsiveness and decreased sensitivity
2. Increased responsiveness
3. Decreased sensitivity
4. Increased sensitivity and decreased responsiveness

Correct answer: 3. Decreased sensitivity

Explanation: Ans. C. Decreased sensitivityRight or left shifts in dose-response curves indicate changes in sensitivity. Changes in maximal biological response indicate changes in responsiveness. Because there is no change in maximal response, the correct answer must relate to a change in sensitivity only. A right shift indicates decreased sensitivity.